Drug of choice for Her 2 Neu positive Breast cancer
1. Trastuzumabb.
2. Tamoxifen
3. Exemestane
4. Fluvestart

Correct answer: 1. Trastuzumabb.

Explanation: Ans. (a) Trastuzumab(Ref. Bailey and Love 27th Edition Page 878)* Drug of choice for Tumors containing Growth Factor receptor positive for C- erb B2 is Trastuzumab (Herceptin)* Other agents currently available are:# Lapitinib- Oral Combined Tyrosine Kinase Inhibitor# Pertuzumab- Tyrosine Kinase inhibitor# T-DM1- A drug which has emestane is bound to Anti Her 2 agent to allow targeted delivery of Chemotherapy for HER-2 Positive cases.